Cytokine for activating macrophage and converting to epitheloid cell or giant cell?
1. IL 2
2. IL 17
3. TNF alpha
4. IFN gamma

Correct answer: 4. IFN gamma

Explanation: Ans. is 'd' i.e., INF gammaGranulomatous inflammation is a form of chronic inflammation characterized by collections of activated macrophages, often with T lymphocytes, and sometimes associated with central necrosis. Granuloma formation is a cellular attempt to contain an offending agent that is difficult to eradicate. In this attempt there is often strong activation of T lymphocytes leading to macrophage activation, which can cause injury to normal tissues.The activated macrophages may develop abundant cytoplasm and begin to resemble epithelial cells, and are called epithelioid cells. Some activated macrophages may fuse, forming multinucleate giant cells.It is not established which macrophage-activating cytokines (IL-4 or IFN-j transform the cells into epithelioid cells and multinucle- ate giant cells.